Bishop's score is done for:
1. Uterine contraction
2. Placental status
3. Cervical ripening
4. Amniotic fluid

Correct answer: 3. Cervical ripening

Explanation: Ans: c (Cervical ripening) Ref: Dutta, 6th ed, p. 502Bishop's score D - Dilation of cervix E - Effacement of cervix S - Station of HeadTotal score: 13C - Consistency of cervixFavourable: 6-13O - Os positionUnfavourable: 0-5